Which worm causes myocarditis-
1. Trichuris
2. Trichinella
3. Enterobius
4. Strongyloides

Correct answer: 2. Trichinella

Explanation: Ans. is 'b' i.e., TrichinellaMyocarditis o Myocarditis is inflammation of the myocardium, the muscular part of heart.o The presence of inflammation alone is not diagnostic of myocarditis, because inflammatory infiltrates may also be seen in other conditions as well, e.g. as a secondary response to ischemic injury. That means in these conditions inflammation is a secondary response to injury.o By contrast, in myocarditis the inflammatory process is the cause of injury and not response to injury. o Most common cause of myocarditis is viral infection especially coxackieviruses.o Trichinosis is the most common helminthic disease causing myocarditis.